Recognized complications associated with enteral feeding include all except
1. Constipation
2. bloating & nausea
3. Aspiration pneumonia
4. Hepatic steatosis

Correct answer: 4. Hepatic steatosis

Explanation: Complications of enteral nutrition Tube-related: Malposition, Displacement, Blockage, Breakage/leakage Local complications (e.g. erosion of skin/mucosa) Gastrointestinal : Diarrhoea, Bloating, nausea, vomiting, Abdominal cramps, Aspiration, Constipation Metabolic/biochemical: Electrolyte disorders, Vitamin, mineral, trace element deficiencies, Drug interactions Infective: Exogenous (handling contamination), Endogenus Hepatic steatosis is seen in TPN Pg No. 286 BAILEY 27TH EDITION